Meningitis with rash is seen in
1. Neisseria meningitidis
2. Hemophilus influenzae
3. Streptococcus agalactae
4. Pneumococcus

Correct answer: 1. Neisseria meningitidis

Explanation: Meningitis and meningococcemia are caused by Neisseria meningitidis. In meningococcemia, acute fever, chills, malaise and prostration are common. The petechial rash occurs, metastatic involvement of joints, ears, lungs, eyes and adrenal may occur. Fulminant meningococcemia caused by Neisseria meningitidis is called Waterhouse Friderichsen syndrome. Fatal condition - characterized by shock, disseminated intravascular coagulation and multisystem failure. Reference: Textbook of Microbiology; Anathanarayan and panicker's; 10th edition; Page no: 232